The epiblast is capable of forming which of the following germ layers?
1. Ectoderm only
2. Ectoderm and mesoderm only
3. Ectoderm and endoderm only
4. Ectoderm, mesoderm, endoderm

Correct answer: 4. Ectoderm, mesoderm, endoderm

Explanation: The epiblast is capable of forming all three germ layers (ectoderm, mesoderm, and endoderm) during gastrulation week 3 of development .